Adolescents age starts at the age of
1. 7 yrs
2. 10 yrs
3. 14 yrs
4. 17 yrs

Correct answer: 2. 10 yrs

Explanation: Adolescence ranges from Early (10-13 yrs) Mid( 14-16yrs) Late(17-19 yrs) Ref: Ghai, 9th edition, Page- 60.